A 40 year old male patient complains of severe acute abdominal pain. Radiologic examination reveals multiple gall stones. On histologic examination, foci of necrosis containing shadowy outlines of necrotic cells surrounded by basophilic calcium deposits were seen. Which type of necrosis is seen in this patient?
1. Coagulative
2. Liquefactive
3. Fat
4. Fibrinoid

Correct answer: 3. Fat

Explanation: Fat necrosis refers to focal areas of fat destruction, typically resulting from the release of activated pancreatic lipases into the substance of the pancreas and the peritoneal cavity. This occurs in the calamitous abdominal emergency known as acute pancreatitis. In this disorder, pancreatic enzymes that have leaked out of acinar cells and ducts liquefy the membranes of fat cells in the peritoneum, and lipases split the triglyceride esters contained within fat cells. The released fatty acids combine with calcium to produce grossly visible chalky white areas (fat saponification), which enable the surgeon and the pathologist to identify the lesions. On histologic examination, the foci of necrosis contain shadowy outlines of necrotic fat cells surrounded by basophilic calcium deposits and an inflammatory reaction.
Reference: Robbins Basic Pathology, Kumar, Abbas, Aster, Elsevier, 10th Edition, Page No: 37